Which of the following enzyme is responsible for respiratory burst in neutrophils?
1. NADPH oxidase
2. Dehydrogenase
3. Peroxidase
4. Catalase

Correct answer: 1. NADPH oxidase

Explanation: When stimulated by contact with bacteria, neutrophils exhibit a respiratory burst and produce superoxide in a reaction catalyzed by NADPH oxidase. Also know: Superoxide (, hydrogen peroxide (H2O2), peroxyl radicals (ROO*), and hydroxyl radicals (OH*) and are referred to as reactive oxygen species (ROS). Superoxide is formed in the red blood cell by the autoxidation of hemoglobin to methemoglobin; in other tissues, it is formed by the action of enzymes such as cytochrome P450 reductase and xanthine oxidase. Superoxide can release iron ions from ferritin. Ref: Murray R.K. (2011). Chapter 52. Red & White Blood Cells. In D.A. Bender, K.M. Botham, P.A. Weil, P.J. Kennelly, R.K. Murray, V.W. Rodwell (Eds), Harper's Illustrated Biochemistry, 29e.